If two buds of pancreas do not fuse, the anomaly is
1. Ectopic pancreas
2. Pancreatic divisum
3. Annular pancreas
4. Accessory pancreas

Correct answer: 2. Pancreatic divisum

Explanation: Pancreatic divisum is a congenital anomaly in the anatomy of the ducts of the pancreas in which a single pancreatic duct is not formed, but rather remains as two distinct dorsal and ventral ducts. imageref- researchgate.net